Apicectomy is:
1. Periapical curettage
2. Retrograde restoration
3. Surgical removal of root
4. Surgical removal of root tip of an endodontically treated tooth

Correct answer: 4. Surgical removal of root tip of an endodontically treated tooth